Aortic arch syndrome is due to
1. PAN
2. Temporal arteritis
3. Takayasu arteritis
4. Burger disease

Correct answer: 3. Takayasu arteritis

Explanation: Takayasu arteritis is a granulomatous vasculitis of mediumsized and larger arteries characterized principally by ocular disturbances and marked weakening of the pulses in the upper extremities. (Robbins basic pathology,9th edition,pg no.353) Takayasu's arteritis is an inflammatory and stenotic disease of mediumand large-sized arteries characterized by a strong predilection for the aortic arch and its branches. For this reason, it is often referred to as the aortic arch syndrome. (Harrison&;&;s principle of internal medicine,18th edition,pg no.)